In idiopathic polymyositis, following are seen except-a) Ocular muscles commonly involvedb) Pharyngeal muscles involvedc) Cutaneous manifestationsd) Proximal limb muscles invariably involved
1. a
2. bc
3. ac
4. b

Correct answer: 3. ac